Contraindications of laparoscopic cholecystectomy is:
1. Coagulopathy
2. Obstructive pulmonary disease
3. End stage liver disease
4. All of the above

Correct answer: 4. All of the above

Explanation: Ans. (d) All of the aboveRef: Page 514/ Blumgart 5th ednContraindications to Laparoscopic cholecystectomyAbsolute* Unable to tolerate general anesthesia* Refractory coagulopathy* Suspiciion of carcinomaRelative* Previous upper abdominal surgery* Cholangitis* Diffuse peritonitis* Cirrhosis or portal hypertension* Chronic obstructive pulmonary disease* Cholecystenteric fisula* Morbid obesity* Pregnancy